Gas used in laparoscopy is-
1. CO2
2. SO2
3. N2
4. O2

Correct answer: 1. CO2

Explanation: Ans. (a) CO2 (Ref: Bailey and Love 27th edition page 105, Surgery Sixer 3rd Edition Page 49)* Ideal gas used in Laparoscopy is Carbon Dioxide because it is easily absorbable and diffusible after surgery.* Rarely Air and nitrogen has been used.* Intraperitoneal pressure during surgery must be kept between 12-15mmHg.